To prevent the spread of yellow fever across borders, the area surrounding airports and seaports should be free from breeding of aedes mosquito. What is the area to be kept free of aedes mosquito/insect vector?
1. At Least 200m around the sea/airports
2. At Least 300m around the sea/airports
3. At Least 400m around the sea/airports
4. At Least 500m around the sea/airports

Correct answer: 3. At Least 400m around the sea/airports

Explanation: As per the guidelines an area extending at least 400 m around an airport/sea port must be kept free from the breeding of insect vector. Also know: Aedes aegypti index - is the % of houses and their premises in a well defined area, showing actual breeding of aedes aegypti larvae. It should not be more than 1% in towns and seaports in endemic areas to ensure freedom from yellow fever. Ref: Park, Edition 21, Page - 259.